Which of the following is a metastasis suppressor gene in relation to prostate cancer?
1. KAI -1
2. NM 23
3. KISS
4. p53

Correct answer: 1. KAI -1

Explanation: *Metastatic suppressor genes that acts without affecting primary tumor oKAI-1, CD44, MAPK4, nm23-H1, nm23-H2, KiSS-1 andRt BrMS1*Metastatic suppressor genes specific for prostate canceroKAI-1, CD44, MAPK4Ref: The Journal of Urology 2003 March;169(3):1122-33)